Most afferent fibers from the lateral geniculate nucleus terminate in the primary visual cortex in:
1. Layer 1
2. Layer 2 & 3
3. Layer 4
4. Layer 5 & 6

Correct answer: 3. Layer 4

Explanation: LGB has 6 layers - (i) Layers 1 & 2: They are called magnocellular (contain large cells). The M ganglion cells project to magnocellular portion of LGB, (ii) Layers 3-6: They are called parvocellular (contain small cells). P ganglion cells project to the parvocellular portion of LGB The visual cortex has 6 layers. The magnocellular and parvocellular neurons project to layer 4 and 4C of the visual cortex. The axons from the interlaminar region end in layers 2 and 3.